The enzyme defect in von Gierke's disease (type-1 glycogen storage disease) is
1. Glycogen phosphorylase
2. Debranching enzyme
3. Phosphoglucomutase
4. Glucose-6-phosphate

Correct answer: 4. Glucose-6-phosphate

Explanation: Von Gierke disease:DiseaseEnzyme deficiencyClinical featuresVon Gierke disease Glucose-6-phosphatase deficiencyGlycogen accumulation in liver and renal tubule cells; hypoglycemia; lactic acidemia; ketosis; hyperlipemiaReference: Harper's Biochemistry; 30th edition; Chapter 18; Metabolism of Glycogen